Protractor of scapula
1. Serratus anterior
2. Rhomboidis major
3. Deltoid
4. Pectoralis major

Correct answer: 1. Serratus anterior

Explanation: Protraction of the scapula (as in pushing and punching movements). It is brought about by the serratus anterior and by the pectoralis minor. It is associated with forward movements of the lateral end and backward movement of the medial end of the clavicle . Ref - BDC 6th e p142